All of the following are true about cell membrane lipids except
1. Amphipathic in nature
2. Exhibit lateral diffusion along with proteins
3. Exhibit symmetrical arrangement
4. Form bilayer

Correct answer: 3. Exhibit symmetrical arrangement

Explanation: Membrane lipids are amphipathic. Membrane lipids form bilayers. An indicator of the dynamic nature of membranes is that a variety of studies have shown that lipids and certain proteins exhibit lateral diffusion in the plane of their membranes. There is also inside-outside asymmetry of the phospholipids. The choline-containing phospholipids (phosphatidylcholine and sphingomyelin) are located mainly in the outer leaflet; the aminophospholipids (phosphatidylserine and phosphatidylethanolamine) are preferentially located in the inner leaflet. .